Which of the following drugs for moderate-to-severe psoriasis inhibits both IL-12 and IL23?
1. Alefacept
2. Efalizumab
3. Ustekinumab
4. Abatacept

Correct answer: 3. Ustekinumab

Explanation: Alefacept is anti CD-2 for psoriasis
Efalizumab is anti CD-11a for psoriasis
Ustekinumab targets the p40 subunit of both IL-12 and IL-23 in psoriasis
Abatacept is anti CD-80 and CD-86 for severe RA